Contraindication for platelet transfusion are all except:-
1. Flavivirus infection
2. Thrombotic thrombocytopenic purpura
3. Immune thrombocytopenic purpura
4. Heparin induced thrombocytopenia

Correct answer: 1. Flavivirus infection

Explanation: Platelet transfusion is done in :- Thrombocytopenia Non functional Platelet Platelet is not given in thrombocytopenic condition where the cause of low platelet is due to presence of antibody against antigen on platelet. Such as:- Heparin Induced Thrombocytopenic (HIT) Immune Thrombocytopenic (ITP) In condition like TTP (Thrombotic Thrombocytopenic purpura), we avoid Platelet transfusion because during platelet transfusion, there is increase risk of thrombosis. Therefore Platelet transfusion is CI:- TTP ITP HIT